Ascending pharyngeal artery is branch of
1. Arch of aorta
2. Inferior thryroid artery
3. Superior thryroid artery
4. Ext. Carotid Artery

Correct answer: 4. Ext. Carotid Artery

Explanation: *Ascending pharyngeal artery is a small branch that arises from the medial side of the external carotid artery. *It arises very close to the lower end of external carotid artery. *It runs vertically upwards between the side walls of the pharynx, and the tonsil, medial wall of the middle ear and, the auditory tube. *It also sends meningeal branches into the cranial cavity through the foramen lacerum, the jugular foramen, and the hypoglossal canal. Ref: BDC 6th edition pg 103 ,230